Fracture ala signature is
1. Gutter fracture
2. Depressed fracture
3. Ring fracture
4. Sutural separation

Correct answer: 2. Depressed fracture

Explanation: Depressed fracture(Fracture ala signature):When a portion of fractured bone is driven inwards to a distance equivalent to the thickness of the skull table *Heavy weapon with a small striking surface Ex:- Hammer, stone, chopper * Due to local deformation of skull. * It is also called 'fracture ala signature' (signature fracture), as the shape often points towards the shape of the offending weapon. Gutter fracture: seen in oblique bullet wounds Ring fracture- Fracture around the foramen magnum